Which is the hallmark feature of conn's syndrome
1. Hypertension with hyperkalemia
2. Hypertension with hypokalemia
3. Hypotension with hyperkalemia
4. Hypotension with hypokalemia

Correct answer: 2. Hypertension with hypokalemia

Explanation: Conns syndrome will cause increased aldosterone levels.
It will cause hypertension with hypokalemia.